Which of the following is effective against Pseudomonas and is used in burns patients?
1. Silver sulphadiazine
2. Silver sulphazine
3. Sulphamethoxazole
4. Sulphadoxine

Correct answer: 1. Silver sulphadiazine

Explanation: Silver sulphadiazine cream(1%) This Broad spectrum prophylaxis against bacterial colonization Particularly effective against Pseudomonas & MRSA